True about carriers -
1. Infection with clinical symptoms
2. Serves as source of infection
3. More infectious than cases
4. Less dangerous than cases

Correct answer: 2. Serves as source of infection

Explanation: Ans. is 'b' i.e., Serves as source of infection o A carrier is defined as 41an infected person or animal that harbours a specific infectious agent in the absence of clinical disease and serves as a potential source of infection ".o As a rule carriers are less infectious than cases, but epidemiologically they are more dangerous than cases because they escape recognition, and continuing as they do to live a normal life among the population or comunity, they readily infect the susceptible individuals over a wider area and longer period of time.